Libman Sach's endocarditis is associated with -
1. Rheumatic heart disease
2. SLE
3. Carcinoma
4. None

Correct answer: 2. SLE